Alpha feto protein is elevated in what percentage of children with hepatoblastoma:
1. 10%
2. 50%
3. 90%
4. 100%

Correct answer: 3. 90%

Explanation: Most liver function test results are normal. Alpha-fetoprotein levels are increased in 90% of children with hepatoblastomas but are elevated much less commonly in children with other liver malignancies. Ref: Schwartz's principle of surgery 9th edition, chapter 39.